Peripheral blood smear in Plasmodium falciparum infection may show all of the following except-
1. Male gametocyte
2. Trophozoite
3. Female gamatocyte
4. Schizont

Correct answer: 4. Schizont

Explanation: Examination of Giemsa-stained peripheral blood smear is the standard test for the diagnosis of malarial infection. Classic ring-shaped/headphone-shaped trophozoites,malegamates,female gamates are seen in case of Plasmodium falciparum infection. Ref Harrison20th edition pg 1078